Leukotriene receptor antagonist used for bronchial asthma
1. Zafirkulast
2. Zileuton
3. Cromolyn Sodium
4. Aminophylline

Correct answer: 1. Zafirkulast

Explanation: Refer KDT 6 /e p 222 Montelukast, zafirlukast and idalukast are Cys-LT, receptor antagonist Zileuton inhibits the production if Leukotriene by inhibiting the enzyme 5-lipoxygenase